A 7 year old presented with intermittent abdominal carmps, loose stool and on stool examination eggs of size 100 m are seen, which is not the cause -
1. Fasciola gigantica
2. Echinostoma iliocanum
3. Gastrodiscoides hominis
4. Opisthorcis viverni

Correct answer: 4. Opisthorcis viverni

Explanation: resemble clonorchiasis. Most infected persons have no symptoms. In mild cases, symptoms may include indigestion, abdominal pain, diarrhea, or constipation. With infections of longer duration, an enlarged liver and malnutrition may occur. Diagnosis is based on identification of eggs in stool specimens with a microscope. More than one stool sample may be needed to identify the eggs. The eggs of Opisthorchis are very similar to those of clonorchis, another liver fluke.